A 25 year old boy presents with renal failure. His uncle died of renal failure three years ago. Slit lamp examination reveals Lenticonus / Keratoconus. The likely diagnosis is:
1. Autosomal Dominant Polycystic Kidney (ADPCKD)
2. Autosomal Recessive polycystic kidney (ARPCKD)
3. Alport's syndrome
4. Denysh-Drash Syndrome

Correct answer: 3. Alport's syndrome

Explanation: Answer is C (Alport's syndrome) Association of Renal failure with Lenticonus / Keratoconus with a positive family history suggests a diagnosis of Alport's syndrome.